Endometrial biopsy for infertility test in women should be done at:
1. Ovulatory phase
2. Menstrual phase
3. Anytime during cycle
4. Premenstrual period

Correct answer: 4. Premenstrual period

Explanation: Endometrial biopsy Best done preferably around 7 days before the onset of menstruation Secretory changes prove that the cycle has been ovulatory Can predict the functional integrity of the corpus luteum Can detect luteal phase defect